Which of the following has proved antithrombotic
1. Gelatin
2. Dextran 40
3. Dextran 100
4. Hetastarch

Correct answer: 2. Dextran 40

Explanation: refer KDT 6/e p622 Dextran 40 and 70 interferes with coagulation and platelet function and thus prolong bleeding time and so is not used in hyperfibrinogenic ,thrombocytopenia or in presence of bleeding